Following are the features of cretinism, except
1. Pot — belly
2. Idiotic look
3. Normal intelligence
4. Stunted growth

Correct answer: 3. Normal intelligence